Boundaries of Calot triangle are formed by all except
1. Common hepatic duct
2. Cystic duct
3. Cystic artery
4. Gall bladder

Correct answer: 4. Gall bladder

Explanation: Boundaries of the Calot's Traingle is not formed by the gall bladder. Calot's Triangle is formed by 3C's Medially- Common hepatic duct Inferiorly- Cystic duct Superior - Cystic artery Importance Contents of Calot's triangle : The cystic artery- artery supplying the gallbladder Lymphnode of lund - sentinel lymphnode for the gall bladder Ref: Gray's Anatomy 41st edition Pgno: 1175